All of the following are direct causes of maternal mortality except:
1. APH
2. PPH
3. Heart disease
4. Eclampsia

Correct answer: 3. Heart disease

Explanation: Maternal Death – Death of a woman while pregnant or within 42 days of termination of pregnancy irrespective of the duration and site of pregnancy, from any cause related to or aggravated by the pregnancy or its management but not from accident or incidental causes is called as maternal death.